All of the following indicators represent Human Development Index, except:
1. Life Expectancy at Birth
2. Life Expectancy at 1 year of age
3. Education
4. GDP

Correct answer: 2. Life Expectancy at 1 year of age

Explanation: Human Development Index (HDI) is defined as "a composite index combining indicators representing three dimensions, longevity (life expectancy at birth), knowledge (adult literacy rate and mean years of schooling) and income (real GDP per capita in purchasing power parity in US dollars)." Ref: Preventive and Social Medicine, by K.Park, 19th edition, Page 15-17.